The usual location of glomus jugulare tumor is -
1. Epitympanum
2. Hypotympanum
3. Mastoid air cells
4. Internal auditory meatus

Correct answer: 2. Hypotympanum